Thymoma commonly presents with
1. Myasthenia gravis
2. Renal failure
3. Hepatic failure
4. Testicular fiminization

Correct answer: 1. Myasthenia gravis

Explanation: Thymus is abnormal in 75% patients with MG; 65%is hyperplastic and 10 % have thymic rumours or thymomas These patients may present with cough, chest pain, superior vena cava (SVC) syndrome, dysphagia, and hoarseness if the recurrent laryngeal nerve is involved. One third of cases are found incidentally on radiographic examinations during a workup for myasthenia gravis (MG). Ref Harrison20th edition pg 2789